Example of heterophile antigen is ?
1. Forssman antigen
2. Cryptococcus polysacchoride
3. Protein A of staphylococcus
4. All of the above

Correct answer: 1. Forssman antigen

Explanation: Ans. is 'a' i.e.,Forssman antigen Heterogenetic (Heterophile) specificitySame or closely related antigens occuring in different biological species, classes and kingdoms are known as heterogenetic or heterophile antigens.